Which of the following exert maximum effect on parathyroid hormone secretion?
1. Calcitonin
2. Plasma calcium
3. Plasma phosphate
4. 1,25-dihydroxycholecalciferol

Correct answer: 2. Plasma calcium

Explanation: The primary regulator of PTH secretion is ionized plasma Ca2+. The PTH-secreting cells in the parathyroid gland have a sensor in their membranes - Ca2+-sensing receptor (CaSR). CaSR is a member of the GPCR superfamily; it spans the membrane 7 times. CaSR is also stimulated by high levels of magnesium; high magnesium inhibits PTH secretion. PTH would then exert its actions on bone, kidneys, and intestine to increase the Ca2+ level. Calcitonin has a receptor on osteoclasts; it decreases the bone resorption by these cells and thereby causes Ca2+ deposition on bone. The effect is opposite to that of PTH; it does not influence PTH levels directly.